Unna boot is used for treatment of:
1. Diabetic foot ulcer
2. Varicose ulcers
3. Ankle instability
4. Calcaneum fracture

Correct answer: 2. Varicose ulcers

Explanation: Unna boot is used for the varicose vein ulcers.